If coefficient of correlation between height and weight is 2.6, TRUE is-
1. Positive correlation
2. No association
3. Negative Correlation
4. Calculation of coefficient is wrong

Correct answer: 4. Calculation of coefficient is wrong

Explanation: Ref:Parks 23rd edition pg 852 Corelation coefficient values can't go beyond 1 . In order to find out whether there is significant association or not between the two variables , coefficient or Corelation is calculated . r lies between -1 and +1 r near -1 : indicates strong negative correlation . r = 0 : indicates no association r near +1: indicates strong positive correlation. Note: correlation does not necessarily prove causation .